A diabetic patient in the waiting room develops giddiness, sweating and confusion. He is suffering from:
1. Hypertension
2. Ketoacidosis
3. Hypoglycemia
4. Non-ketoacidosis

Correct answer: 3. Hypoglycemia